The strain which is used for production of BCG vaccine at commercial level is
1. Danish-1331
2. Tween-80
3. Bacille Calmette Guerin
4. PPD-RT-23

Correct answer: 1. Danish-1331